All the following regarding prostaglandin analogues are true except
1. Alprostadil- Erectile dysfunction
2. Carboprost : Peptic ulcer
3. Iloprost: Pulmonary hypertension
4. Travoprost: Glaucoma

Correct answer: 2. Carboprost : Peptic ulcer

Explanation: Carboprost is PGF2 alpha analog which is primarily a vasoconstrictor.Ref: KD Tripathi, 7th ed. Pg 190